Fracture scaphoid is usually seen in :
1. Elderly male
2. Elderly postmenopausal female
3. Young active adult
4. Children

Correct answer: 3. Young active adult

Explanation: Scaphoid fracture :

This is the most common carpal bone fractured, and among the wrist fractures, it is second only to the fracture lower end of radius.
It is common in young adults though it can be seen in patients of 10 - 70 years of age.
The common mode of injury is fall on an outstretched hand with hyperextension and radial deviation at wrist.